Blood group most commonly associated with gastric carcinoma is?
1. Blood Group O
2. Blood group A
3. Blood group AB
4. Blood group B

Correct answer: 2. Blood group A

Explanation: Ans. is 'b' i.e., Blood Group A Risk factors for gastric carcinomaA. Environmental factors: H. Pylori infection, dietary factors (nitrites/nitrate, smoked and salted foods, lack of fresh fruits/vegetables, deficiency of vitamin C & E), cigarette smoking, and low socioeconomic status.B. Host factors: Chronic gastritis (causing hypochlorhydria or intestinal metaplasia), partial gastrectomy, gastric adenoma, Barrett s esophagus, and Menetrier disease.C. Intestinal metaplasia is the most significant precursor lesion for Gastric cancer.D. Genetic factors: Blood group A, Hereditary nonpolyposis colon cancer syndrome (HNPCC) and Familial gastric cancer syndrome (E-cadherin mutation).Decreased risk of stomch cancer is seen with* Vitamin C 8c E* Diet high in green leafy vegetables and citrus fruits* Aspirin* Beta - Carotene